Which of the following skull fractures is called a 'motorcyclist's fracture' -
1. Ring fracture of base of skull
2. Hinge fracture of base of skull
3. Comminuted fracture of skull
4. Depressed fracture of skull

Correct answer: 2. Hinge fracture of base of skull

Explanation: The synopsis of forensic medicine & toxicology ;Dr k.s narayan reddy; 28th edition ; pg.no.151 In motorcyclist 's fracture the fracture is seen at the base of the skull ,the base of skull is divided into two halves ,and each moves like a hinge .